Mc Gregor line and Trapnell lines are seen in?
1. PNS View
2. PA View
3. SMV View
4. Lateral View

Correct answer: 1. PNS View